Which of the following Sulfonamides is used as eye drops?
1. Sulfamethoxazole
2. Sulfacetamide
3. Sulfinpyrazone
4. Sulfadoxine

Correct answer: 2. Sulfacetamide

Explanation: 1. Sulfacetamide - used as cream to treat skin infections and as eye drops to treat eye infections. 2. It is active against both Gram+ve and Gram-ve bacteria. 3. Its high aqueous solubility is about 90 times that of Sulfadiazine. Solutions of the sodium salt of the drug are employed extensively in the management of ophthalmic infections. Very high aqueous concentrations are not irritating to the eye and are effective against susceptible microorganisms. The drug penetrates into ocular fluids and tissues in high concentration.